Which of the following organism is most commonly considered responsible for SIDS especially after giving honey to the neonate or infant?
1. Clostridium botulinum
2. Staphylococcus aureus
3. E. coli
4. Clostridium perfringens

Correct answer: 1. Clostridium botulinum

Explanation: Ans. A. Clostridium botulinum.(Ref. Nelson Textbook of Pediatrics, 19th ed. Chapter 367)Sudden infant death syndrome# Sudden infant death syndrome (SIDS) is the unexpected, sudden death of a child under age 1 in which an autopsy does not show an explainable cause of death.# SIDS is most likely to occur between 2 and 4 months of age. SIDS affects boys more often than girls. Most SIDS deaths occur in the winter.# The following have been linked to a baby's increased risk of SIDS:# Sleeping on the stomach# Being around cigarette smoke while in the womb or after being bom# Sleeping in the same bed as their parents (co-sleeping)# Soft bedding in the crib# Multiple birth babies (being a twin, triplet, etc.)# Premature birth# Having a brother or sister who had SIDS# Mothers who smoke or use illegal drugs# Being bom to a teen mother# Short time period between pregnancies# Late or no prenatal care# Living in poverty situations# Honey is the one identified, avoidable source of C botulinum spores for susceptible infants.# Because botulinal toxin is the most potent poison known (about 10-9 mg per kg of body weight given intravenously being a lethal amount for man), it appeared possible that rapid in vivo production of botulinal toxin might in some infants lead to sudden death if upper airway obstruction or apnea resulted from flaccidity of airway and respiratory muscles.# In a British study released May 29, 2008, researchers discovered that the common bacterial infections Staphylococcus aureus and Escherichia coli appear to be risk factors in some cases of SIDS.